All of the following are supplied by mandibular nerve except
1. Masseter
2. Tensor tympani
3. Tensor palati
4. Buccinator

Correct answer: 4. Buccinator

Explanation: D i.e. Buccinator